All are true about growth chart except
1. The position of dots is more important than direction
2. It is a tool for educating mothers
3. Between top 2 lines, it shows ‘Road-to-Health’ or ‘zone of normality’
4. Lowermost line corresponds to children below 3 percentile

Correct answer: 1. The position of dots is more important than direction